CSF sugar is -
1. Half of blood sugar
2. 1/3 of blood sugar
3. 2/3 of blood sugar
4. Same as blood sugar

Correct answer: 3. 2/3 of blood sugar

Explanation: Ans is'c' i.e.,2/3 of blood sugarCSF / plasma glucose ratio is 0.64.